Keratodermic sandles is a feature of
1. Pityriasis rosacea
2. Lichen planus
3. Psoriasis
4. Pityriasis rubra pilaris

Correct answer: 4. Pityriasis rubra pilaris

Explanation: In pityriasis rubra pilaris there is yellow orange thickening of palms and soles ( keratodermic sandals). 
There is also yellow brown discoloration and thickening of distal nail plate.